The 1st product of tryptophan catabolism is?
1. Kynurenine
2. Bradykinin
3. PAF
4. Xanthurenate

Correct answer: 1. Kynurenine

Explanation: Tryptophan is degraded to amphibolic intermediates via the kynurenine-anthranilate pathway. Tryptophan oxygenase (tryptophan pyrrolase) opens the indole ring, incorporates molecular oxygen, and forms N-formyl kynurenine.
Hydrolytic removal of the formyl group of A T -formylkynurenine, catalyzed by kynurenine formylase, produces kynurenine. Since kynureninase requires pyridoxal phosphate, excretion of xanthurenate in response to a tryptophan load is diagnostic of vitamin B6. deficiency.
Hartnup disease reflects impaired intestinal and renal transport of tryptophan and other neutral amino acids